In blunt injury to eye, following changes are seen except
1. Commotio retinae
2. Rosette cataract
3. Irido dialysis
4. Soft exudates

Correct answer: 4. Soft exudates

Explanation: Soft exudates are seen in hypertensive retinopathy.